Which paraneoplastic syndrome is not seen with Small Cell Ca Lung:
1. PTH
2. ACTH
3. ADH
4. Carcinoid syndrome

Correct answer: 1. PTH

Explanation: Ans. (a) PTH(Ref: Robbins 9th/pg 715-717)Most common variety causing hypercalcemia is Squamous cell Ca, while all other hormones are usually secreted by small cell Ca